Hypoglycemia is seen in -
1. Acromegaly
2. Cushing syndrome
3. Hypothyroidism
4. Hypopitutarism

Correct answer: 4. Hypopitutarism